Negligent act likely to spread infection of disease dangerous to life. This comes under which section of IPC?
1. S.270, IPC
2. S.269, IPC
3. S.191, IPC
4. S.197, IPC

Correct answer: 2. S.269, IPC

Explanation: S.269, IPC: Negligent act likely to spread infection of disease dangerous to life. S.270, IPC: Malignant act likely to spread infection of disease dangerous to life (imprisonment upto 2 years.) S.191, IPC: Giving false evidence. S.197, IPC: Issuing or signing false certificate (imprisonment upto 7 years.) Ref: The Essentials of Forensic Medicine and Toxicology 29th Ed Page 47.